What is the most common site of brain Hemorrhage?
1. Putamen
2. Internal capsule
3. Ventral pons
4. Cerebellum

Correct answer: 1. Putamen

Explanation: The MC site of brain hemorrhage is Putamen. Intraparenchymal hemorrhage is most lethal and has a mortality rate of 40%. investigation of choice is NCCT. Hypertensive ICH usually results from spontaneous rupture of a small penetrating artery deep in the brain. The most common sites are the basal ganglia (especially the putamen), thalamus, cerebellum, and pons.